Patient presenting with cutaneous vasculitis, glomerulonephritis, peripheral neuropathy, which of the following will help in diagnosis?
1. ANCA
2. RA factor
3. Hbsag
4. MIF

Correct answer: 1. ANCA

Explanation: Ref. API Textbook of Medicine. Pg. 1313
 
Cutaneous vasculitis features – Diagnosis
Anti-neutrophil cytoplasmic antibodies (ANCAs):

Group of autoantibodies
IgG type mainly,
Produced against antigens in cytoplasm of neutrophil granulocytes & monocytes.
Particularly associated with systemic vasculitis, so called “ANCA-associated vasculitis”.
c-ANCA – Abs against MPO, p-ANCA -  Abs Against PR3